Which among the following is the COMMONEST complication of CSOM?
1. Subperiosteal abscess
2. Mastoiditis
3. Brain abscess
4. Meningitis

Correct answer: 2. Mastoiditis

Explanation: Mastoiditis is the most common complication of otitis media. Mastoiditis refers to inflammation of the air cells in the mastoid process. Patients usually presents with fever and local pain. The classic triad consists of: Prominent auricle with retro orbital swelling Tenderness over the mastoid Otorrhea It is best diagnosed using CT scan. It shows clouding of the mastoid air cells and middle ear spaces. It can also demonstrate erosion of the mastoid bone structure.